All of the following statements about nesiritide are true except
1. It is a BNP analogues
2. It can be used in decompensated congestive heart failure
3. It can be administered orally
4. It causes loss of sodium ions in the urine

Correct answer: 3. It can be administered orally

Explanation: Nesiritide is a recombinant BNP It produces vasodilatation and natriuresis It can be administered by intravenous route( because being a peptide it can be metabolized by peptidases in git) Refer kDT 6/e 507